Which of the following is not a contraindication for trial of labour?
1. Malpresentation
2. Rachitic pelvis
3. Previous LSCS
4. Multigravida

Correct answer: 4. Multigravida

Explanation: A multigravida female who has delivered vaginally before has greater chance for vaginal delivery. Gross pelvic contraction, previous LSCS, failed previous trial of labour, malpresentation, elderly primagravida and in certain medical conditions complicating pregnancy trial of labour is contraindicated.